Troponin-T is preferable to CPK-MB in the diagnosis of acute myocardial infarction (MI) in all of the following situations, EXCEPT:
1. Bedside diagnosis of MI
2. Postoperatively (after CABG)
3. Reinfarction after 4 days
4. Small infarcts

Correct answer: 3. Reinfarction after 4 days

Explanation: Levels of Troponin-I (TnI ) and Troponin-T (TnT) may remain elevated for 7-10 days after STEMI. So it is not useful forthe diagnosis of reinfarction after 4 days. In all the other mentioned conditions Troponin-T is preferable to CPK-MB. CPK-MB rises within 4-8 h and generally returns to normal by 48-72 h. Ref: Harrisons principles of internal medicine, 18th edition, Page: 2024.